Bioavailability is defined as
1. The volume of plasma completely cleared of a specific compound per unit time and measured as a test of kidney function
2. The percentage of drug that is detected in the systemic circulation after its administration
3. Both
4. None

Correct answer: 2. The percentage of drug that is detected in the systemic circulation after its administration

Explanation: Bioavailability refers to the rate and extent of absorption of a drug from a dosage form as determined by its concentration-time curve in blood or by its excretion in urine It is a measure of the fraction (F ) of an administered dose of a drug that reaches the systemic circulation in the unchanged form. Bioavailability of drug injected i.v. is 100%, but is frequently lower after oral ingestion BA=F=Area under curve oral/ AUC IV Ref-KD Tripathi Pharmacology 7th edition (page no;32)